Acidophil stem cell tumour presents with all of the following features except.
1. Hypogonadism
2. Galactorrhea
3. Acromegaly
4. Thyrotoxicosis

Correct answer: 4. Thyrotoxicosis

Explanation: Acidophil cell tumors produce PRL, GH and lead to presentation of hypogonadism and galactorrhea. The increase PRL has negative effect on values of LH and FSH explaining Hypogonadism Thyrotoxicosis is a presentation of Thyrotrope Adenoma which is a Basophilic tumor.